Most common drug used in Leprosy is:
1. Dapsone
2. Clofazimine
3. Ethionamide
4. Ofloxacin

Correct answer: 1. Dapsone

Explanation: (Dapsone): Ref 709-KDT (752-KDT 6th)Classification of antileprotic drugs1. Sulfone - Dapsone - (DPS)2. Phenazine derivative - clofazimine3. Antitubercular drugs - Rifampin, Ethionamide4. Other antibiotics - Ofloxacin, Minocycline, clarithromycinDAPSONE: - Inhibition of PABA incorporation in to folic acid.* Simplest, oldest, cheapest, most active and most commonly used in leprosy..* RIFAMPIN: - Most important Bactericidial drug in leprosy* Clofazimine: - Dye with leprostatic and anti-inflammatory properties